In the upright position, from apex to base of the lung
1. Ventilation decreases, perfusion decreases
2. Ventilation decreases, perfusion increases
3. Ventilation increases, perfusion increases
4. Ventilation increases, perfusion decreases

Correct answer: 3. Ventilation increases, perfusion increases

Explanation: Ventilation, as well as perfusion in the upright position, declines in a linear fashion from the bases to the apices of the lungs.